The diameter of the largest arterial vessels in the pulp range from:
1. 50-100 μm
2. 101-150 μm
3. 151-200 μm
4. 201-250 μm

Correct answer: 1. 50-100 μm